Elaboration of inactivating enzymes are the important mechanism of drug resistance among all of these antibiotics except
1. Quinolone
2. Pencillin
3. Chloramphenicol
4. Aminoglycoside

Correct answer: 1. Quinolone

Explanation: Refer KDT 6/e p688 Resistance to fluoroquinolone is mediated by mutation in DNA gyrase